Topical steroid is contraindicated in which ocular condition-
1. Anterior uveitis
2. Posterior uveitis
3. Fungal Corneal ulcer
4. Moorens ulcer

Correct answer: 3. Fungal Corneal ulcer

Explanation: *Topical steroids in eye are contraindicated in Herpetic epithelial keratitis and fungal corneal ulcer. Ref: Kanski's 8th/e chapter 6, p.181